Miller Fischer test is used for:
1. Evaluating cognition in NPH.
2. Severity of paralysis in GBS.
3. Grading muscle involvement in ALS.
4. Measuring disability in Multiple sclerosis.

Correct answer: 1. Evaluating cognition in NPH.

Explanation: Ans. A. Evaluating cognition in NPHEvaluating cognition in NPH. The CSF tap test, sometimes lumbar tap test or Miller Fisher Test, is a medical test that is used to decide whether shunting of cerebrospinal fluid (CSF) would be helpful in a patient with suspected normal pressure hydrocephalus (NPH).The test involves removing 30mL of cerebrospinal fluid (CSF) through a lumbar puncture, after which cognitive function is clinically reassessed. Clinical improvement showed a high predictive value for subsequent success with shunting.